Which of the following features is shared in common between lymphocyte - rich and lymphocyte predominant types of Hodgkin's lymphoma -
1. Paucity of diagnostic RS cells
2. EBV is associated
3. RS cells are CD 20 positive
4. Good prognosis

Correct answer: 4. Good prognosis

Explanation: Classical RS cells are difficult to find in lymphocyte predominance type but it is frequently present in lymphocyte rich type. About 40% of lymphocyte rich type is associated with EBV.But lymphocyte predominance is not associated with EBV RS cells in lymphocyte predominance is CD20 positive. But RS cells in lymphocyte rich type isCD2O negetive. Both type have very good prognosis. Reference : Robbins and Cotran Pathologic basis of disease.South Asia Edition volume 1.page no. 609